Adult human who are awake with mind wanderingand the eyes closed. Most likely EEG pattern is
1. Alpha - rhythm
2. Beta rhythm
3. Theta rhythm
4. Delta waves

Correct answer: 1. Alpha - rhythm

Explanation: (Alpha - rhythm) (194 - 95- Ganong22nd) (836. K.S (233- Ganong 23rd)* Alpha rhythm - awake, at rest mind wandering and the eye closed, 8-12 Hz frequency, 50-100 mv amplitude* Beta rhythm - 18-30Hz, lower amplitude* Gamma - oscillations - at 30- 80 Hz* Theta rhythm - larger amplitude , regular 4-7 Hz waves* Delta waves - become more prominent with low frequency and high amplitudeCharacteristicREM- sleepNon-REM sleep* Rapid eye movements, Dreams muscle twitchingPresentAbsent* Heart rate, BP. Respiration Body temperatureFluctuatingStable* NeurotransmitterNoradrenalineSerotonin